True in mitral regurgitation (MR) is
1. Pansystolic murmur at the apex
2. Loud S1
3. Functional or Secondary MR is caused by papillary muscle rupture after myocardial infarction
4. ECG commonly reveals 'P' pulmonale

Correct answer: 1. Pansystolic murmur at the apex

Explanation: S1 is soft in MR unlike MS. 
Functional or Secondary MR is caused by dilation of the left ventricle causing leakage at the mitral annulus. 
ECG in MR shows 'P' mitrale due to dilation of the Left atrium.